Preferential expression of gene depending on parent of origin is called as
1. Genomic imprinting
2. Mosaicism
3. Chimerism
4. Cloning

Correct answer: 1. Genomic imprinting

Explanation: Ans. (a) Genomic imprintingRef: Robbin's pathology 9th ed. /172-173Preferential expression of an allele depending on parental origin is genomic imprinting.* Praderwili syndrome: Deletion of paternal chromosome 15* Angelman syndrome:Deletion of maternal chromosome 15* Beckwith weidmann syndrome: have two paternal but no maternal copies of chromosome 11* Albright's hereditary osteodystrophy: mutation in Gs alpha subunit leading to short stature, brachydactyl and PTH resistance only when mutation is inherited from the mother.